Which is the COMMONEST type of seizure in newborn?
1. Clonic
2. Tonic
3. Myoclonic
4. Subtle

Correct answer: 4. Subtle

Explanation: Essentials of Diagnosis & Typical Features of Neonatal seizures: Usual onset at 12-48 hours. Seizure types include subtle (characterized by variable findings), tonic, and multifocal clonic. Most common causes include hypoxic-ischemic encephalopathy, intracranial bleeds, and infection. Most common type of seizures is newborn are subtle seizures and they constitute 50% of all seizures. Subtle seizures are usually mild paroxysmal alterations in motor behaviour or autonomic function that are not clearly clonic, tonic or myoclonic. Newborns rarely have well-organized tonic-clonic seizures because of their incomplete cortical organization and a preponderance of inhibitory synapses. The most common type of seizure is characterized by a constellation of findings, including horizontal deviation of the eyes with or without jerking; eyelid blinking or fluttering; sucking, smacking, drooling, and other oral-buccal movements; swimming, rowing, or paddling movements; and apneic spells. Ref: Thilo E.H., Rosenberg A.A. (2012). Chapter 2. The Newborn Infant. In W.W. Hay, Jr., M.J. Levin, R.R. Deterding, J.J. Ross, J.M. Sondheimer (Eds), CURRENT Diagnosis & Treatment: Pediatrics, 21e.